Non traumatic amputation is seen in?
1. Sickle cell anemia
2. Diabetes mellitus
3. Leprosy
4. All of the above

Correct answer: 4. All of the above

Explanation: ANSWER: (D) All of the aboveREF: The Washington manual general internal medicine subspecialty consult Geoffrey S. Cislo, Thomas M. De Fer, Katherine E. Henderson Page 178, The Epidemiology of Diabetes Mellitus, Jean Marie Ekoe, Marian Rewers, Rhys Williams Page 573Amputations are the loss of a body part. Amputations are divided into Traumatic Amputations (those involving loss of a body part caused by an injury) and Non-traumatic Amputations. The later often occurs secondary to diabetes, poor circulation, or infection.Diabetes is the most common cause of non-traumatic amputation of the lower limb. This is primarily a result of peripheral neuropathy. 60% of non-traumatic lower-limb amputations occur among diabetics in the US (National Diabetes Statistics fact sheet, NIDDK, 2003)Causes of non traumatic amputation:Diabetes mellitusOsteomyelitisPeripheral neuropathySickle cell anemiaLeprosyPeripheral vascular diseaseAero osteolysis neurogenicCharcot-Marie-Tooth disease, Type 2BCompartment Syn dromeFrostbiteGangreneMycetomaSensory Neuropathy